Which of the following opioids has maximum plasma protein binding capacity?
1. Morphine
2. Sufentanil
3. Fentanyl
4. Pethidine

Correct answer: 2. Sufentanil

Explanation: Sufentanil has maximum plasma protein binding among opioids. Refer kDT 6/e